Which of the following is not a malabsorption syndrome:
1. Whipple's disease
2. Coeliac disease
3. Tropical sprue
4. Tangier's disease

Correct answer: 4. Tangier's disease

Explanation: Answer is D (Tangier's Disease) Tangier's Disease is a genetic disorder charachterized by a severe deficiency of high density lipoprotein cholesterol (HDL-C) concentration in the plasma as well as deposition of cholesterol crystals in the tissue. Tangier's disease is synonymous with Familial High Density Lipoprotein Deficiency. Malabsorption Syndromes Diffuse, specific Whipple's disease Agammaglobulinemia Abetalipoproteinemia Patchy specific Intestinal lymphoma Intestinal lymphangiectasia Eosinophilic gastroenteritis Amyloidosis Crohn's disease Infection by one or moremicroorganisms Mastocytosis Diffuse, nonspecific Celiac sprue Tropical sprue Bacterial overgrowth Folate deficiency Vitamin B12 deficiency Radiation enteritis Zollinger -- Ellison syndrome Protein --calorie malnutrition Drug-induced enteritis